Limey bile is
1. Present in the CBD
2. Thin and clear
3. Like toothpaste emulsion in the gallbladder
4. Bacteria rich

Correct answer: 3. Like toothpaste emulsion in the gallbladder

Explanation: Limey Bile Calcium salts in the lumen of the GB in sufficient concentration may produce calcium precipitation and diffuse, hazy opacification of bile or a layering effect on plain abdominal X-Ray Filled with a mixture of calcium carbonate and calcium phosphate usually, the consistency of tooth paste Caused by gradual obstruction of the cystic duct or CBD by chronic pancreatitis or carcinoma pancreas Organisms are rarely grown from emulsion Diagnosis Best revealed on plain radiograph Treatment Limey bile, or milk of calcium bile, is usually clinically innocuous Cholecystectomy is recommended when it occurs in a hydropic gallbladder Ref: Harrison's 19th edition Pgno : 2082